The following are true about Hepatocellular carcinoma except -
1. It has a high incidence in East Africa and South-east Asia.
2. Its worldwide incidence parallels the prevalence of Hepatitis B
3. Over 80% of tumours are surgically resectable
4. Liver transplantation offers the only chance of cure in those with irresectable disease.

Correct answer: 3. Over 80% of tumours are surgically resectable

Explanation: Because of multicentricity, bilobar involvement, portal vein invasion, and lymphatic metastasis only 15-20% of hepatocellular carcinomas are resectable" Ref : Harrison 17/e p.580 , Sabiston 18/e p1500